Which one of the following imaging techniques gives maximum radiation exposure to the patient?
1. Chest X-ray
2. MRI
3. CT scan
4. Bone scan

Correct answer: 3. CT scan

Explanation: Radiation exposure (in decreasing order)
CT scan > Bone scan > X-ray
MRI & USG has no radiation risk